All of the following statements are true regarding Q fever except:
1. It is a zoonotic disease
2. Human disease is characterized by an interstitial pneumonia
3. No rash is seen
4. Weil-Felix reactions is very useful for diagnosis

Correct answer: 4. Weil-Felix reactions is very useful for diagnosis

Explanation: Ans. is 'd' i.e., Weil Felix reactions is very useful for diagnosisRef: Harrison, 19th/e, p. 1154; Ananthanarayan, 9th/e, p. 405)Weil-Felix Test (Heterophile agglutination test) has no value in - Q fever, Trench fever, R. pox.Coxiella Burnetii (Q fever)* Causing agent is Coxiella burnetii. It is a Zoonotic disease.* Disease - Interstitial pneumonia.* It survives pasteurization.* Transmitted without arthropod (respiratory mode).* No skin rash in Q fever.